Urinary D-Xylose test is used for the the study of:
1. Proximal small bowel mucosal function
2. Distal small bowel mucosal function
3. Proximal small bowel serosal function
4. Distal small bowel serosal function

Correct answer: 1. Proximal small bowel mucosal function

Explanation: The urinary D-xylose test: Used for carbohydrate absorption Assesses proximal small-intestinal mucosal function. Ref: Harrison, E-18, P-2467.